Caissons disease is caused by
1. Amniotic fluid embolism
2. Hyper coagulability
3. Air or gas embolism
4. Tumour embolism

Correct answer: 3. Air or gas embolism